Wernicke's encephalopathy is due to deficiency of:
1. Thiamine
2. B6
3. Niacin
4. B12

Correct answer: 1. Thiamine

Explanation: Part of the Brain that would be damage in this case would be periventricular area's in thalamus. G: Global confusion O: Ophthalmoplegia: 6th N palsy (diplopia on looking laterally) A: Ataxia -sensory Ataxia -Cerebellar Ataxia -Vestibular Ataxia (1st to respond to medical treatment: Ophthalmoplegia.) B1 Beri Beri B2 Angular stomatitis B3 pellagra B5 Burning foot syndrome B6 anemia B12 Megaloblastic anemia and subacute degeneration of spinal cord Folic acid Neural tube defect Vit c scurvy Vit a Eye Vit d Rickets and osteomalacia